Management plan for osteogenic sarcoma of the lower end of femur must include:
1. Surgery alone
2. Chemotherapy + radiotherapy
3. Radiotherapy + amputation+ chemotherapy
4. Chemotherapy + Limb Salvage Surgery

Correct answer: 4. Chemotherapy + Limb Salvage Surgery

Explanation: The usual approach in the treatment of osteosarcoma includes surgery and chemotherapy. The most frequently used effective chemotherapy agents include high-dose methotrexate, doxorubicin, cisplatin, and ifosfamide or etoposide. Radiotherapy does not play a role in the treatment of osteosarcoma as these cells are not radio sensitive. It is reserved for inoperable axial skeletal tumors and for palliation especially of painful sites. Ref: Moleculary Targeted Therapy for Childhood Cancer By Peter J. Houghton, Page 478 ; Pediatric Oncology Nursing: Advanced Clinical Handbook: Page 371 By Deborah Tomlinson, 2nd Edition, Pages 67-70.